What is the best route for total parenteral nutrition?
1. Brachial vein
2. Femoral vein
3. Saphenous vein
4. Subclavian vein

Correct answer: 4. Subclavian vein

Explanation: Subclavian vein is considered as best route because the catheter lies flat on chest wall.